Megaloblastic anaemia is caused by ?
1. Diphyllobothrium latum
2. Schistosoma hematobium
3. Echinococcus granulosus
4. Taenia solium

Correct answer: 1. Diphyllobothrium latum

Explanation: Ans. is `a' i.e., Diphylloboturium latum